All the following are features of Gradenigo's syndrome except:
1. Flushing of skin over parotid
2. Retro orbital pain
3. VI nerve palsy
4. Persistent ear discharge

Correct answer: 1. Flushing of skin over parotid

Explanation: Ans: A (Flushing of skin over parotid) Ref: Diseases of the Ear Nose and Throat by PL Dhingra.5th edn .2010.pg 89Explanation:Gradenigo's syndromeIntratemporal complication of atticoantral type of CSOMDue to petrositisConsists of a Triad which is -Diplopia due to 6th CN palsyDeep retro orbital pain due to 5th CNPurulent ear dischargeDiagnosis can be made by CT scan or MRI scansTreatment; modified radical or radical mastoidectomy along with IV antibioticsOther Intra temporal complications areMastoiditisFacial nerve palsyLabrynthitis